Growth is completed in which of the following dimensions at last?
1. Width of the dental arches
2. Length of the jaws
3. Height of the face
4. All occur at the same time

Correct answer: 3. Height of the face

Explanation: For the three planes of space in both the maxilla and mandible, there is a definite sequence in which growth is "completed" (i.e., declines to the slow rate that characterizes normal adults). Growth in width is completed first, then growth in length, and finally growth in height. 
Growth in width of both jaws, including the width of the dental arches, tends to be completed before the adolescent growth spurt and is affected minimally if at all by adolescent growth changes. Intercanine width is more likely to decrease than increase after age 12.
Growth in length and height of both jaws continues through the period of puberty. In girls, the maxilla grows slowly downward and forward to age 14 to 15 on the average.
In both sexes, growth in vertical height of the face continues longer than growth in length, with the late vertical growth primarily in the mandible.
Contemporary orthodontics, William Proffit, 4th edition page 112